Which is the commonest site for extrapulmonary TB ?
1. Pleura
2. Lymph node
3. Intestine
4. Meninges

Correct answer: 2. Lymph node